Treatment of presbyopia –
1. LASIK
2. Concave lens
3. Convex lens
4. Radial keratotomy

Correct answer: 3. Convex lens